The pathway of which system crosses in the ventral white commissure of the spinal cord within a few segments of entry and then courses to the thalamus contralateral to the side of the body from which the signal originated?
1. Anterolateral system
2. Dorsal column-medial lemniscal system
3. Corticospinal system
4. Spinocerebellar system

Correct answer: 1. Anterolateral system

Explanation: Fibers in the anterolateral system cross in the anterior white commissure within a few segments of their entry before ascending on the contralateral side. Signals ascending in the dorsal column-medial lemniscal system do not cross until they reach the dorsal column nuclei in the medulla.